X-ray pelvimetry is indicated in all of the following conditions except :
1. Severe CPD
2. Breech presentation in vaginal delivery
3. Outlet obstruction
4. Osteomalacia

Correct answer: 1. Severe CPD

Explanation: Ans. is a i.e. Severe CPD The main aim of X-ray pelvimetry is to : To confirm the diagnosis of contracted pelvis if it cannot be confirmed clinically To rule out CPC. Severe CPD can be diagnosed clinically and trial of labour is not indicated in this case. It is managed by elective cesarean section therefore, there is no role of X-ray pelvimetry. For those who feel breech presentation in vaginal delivery should be the answer, read the following lines from "Although pelvimetry is no longer commonly performed, it is beneficial in patient who desire a trial of labour when the fetus is in breech presentation".